Amyl Nitrate is used as an antidote in.. poisoning-
1. CO2
2. CO
3. Cyanide
4. Nitric acid

Correct answer: 3. Cyanide